Cryoprecipitate is rich in which of the following clotting factors:
1. Factor II
2. Factor V
3. Factor VII
4. Factor VIII

Correct answer: 4. Factor VIII

Explanation: Cryoprecipitate is a source of Fibrinogen (factor I), Factor VIII and Von-Willebrand factor.
Treatment of choice for Hemophilia A, von Willebrand disease and hypofibrinogenemic states.
If factor VIII is unavailable, cryoprecipitate may be an alternative, since each unit contains about 80 IU of factor VIII.